In contact dermatitis which cells play major role
1. T- cells
2. B-cells
3. Langhans cells
4. Macrophage

Correct answer: 1. T- cells